All of the following statements about Hepatitis B arc true, Except
1. Vertical Transmission is more common than horizontal transmission in non-endemic areas
2. Age of onset determines prognosis
3. Period of communicability lasts several months
4. Virus can be detected in blood one month before jaundice

Correct answer: 1. Vertical Transmission is more common than horizontal transmission in non-endemic areas

Explanation: Answer is A (Vertical Transmission is more common than horizontal transmission in non-endemic areas) Vertical transmission is more common that horizontal transmission in endemic Areas (not in non-endemic areas) Age of onset determines prognosis 'The outcome of HBV infection is age dependent. The development of chronic hepatitis B is inversely related to age and occurs in approximately 95% of persons infected perinatally, in 80% of persons infected in early childhood and in 510% infected after 5 years of age' - Park 20th /188 Period of communicability lasts several months 'The period of communicability is usually several months. The virus is present in the blood during the incubation period (for a month before jaundice) and acute phase of disease' - Park 201h/187 Virus can be detected in blood one month before jaundice 'Circulating HBsAg precedes elevation of aminotransferases and clinical symptoms (jaundice) by 2-6 weeks and remains detectable during the entire icteric or symptomatic phase of acute 'Hepatitis B' and beyond' - Harrison 's 17th /1933 Vertical transmission is more common in Endemic areas 'Perinatal transmission (vertical) is uncommon in North America and Europe (Non-Endemic areas) hut occurs with great frequency and is the most common mode of HBV perpetuation in the Far East and developing countries (Endemic areas)' - Harrison 's 17th/1940,1947